Null cells constitute what percentage of peripheral lymphocytes?
1. 0-1
2. 5-Feb
3. 10-May
4. 15-20

Correct answer: 3. 10-May

Explanation: Ans. (c) 5-10(Ref: Robbins 9th/pg 192; 8th/pg 188)Natural Killer Cells or Null cells constitute 5% to 10% of peripheral lymphocytes QAs NK cells neither have B nor T-cell markers, hence also called Null CellsNK cells destroy irreversibly stressed, virus-infected cells & tumor cells without prior exposure